To avoid pocket formation distance between the finish line and alveolar crest should be:
1. 0.5 mm
2. 1 mm
3. 1.5 mm
4. 2.5 mm

Correct answer: 4. 2.5 mm

Explanation: If the distance between finish line and the alveolar crest is less than 2mm, the restoration may lead to gingival. inflammation, loss of alveolar crest and pocket formation.